Which needle is used for pleural biopsy
1. Vivian Silvermann's
2. Abram's
3. Abraham's
4. Osgood's

Correct answer: 2. Abram's

Explanation: Abram's needle is used for pleural biopsy.Techniques of biopsy include CT guided needle biopsy,VATS biopsy open surgical biopsy. Abraham's needle is used for pleural tap.Osgood's needle is used for bone marrow aspiration.Vivian silvermann's needle is used for liver biopsy Reference:Bailey & Love's short practise of surgery,25th edition,page no:881